Bedside test for mental status-
1. MMSE
2. GCS
3. MMPI
4. WAIS

Correct answer: 1. MMSE

Explanation: Ans. is 'a' i.e., MMSE o The most w idely used test for bedside evaluation of the mental status is folstein's mini mental state examination (MMSE).